The most common feature seen in patients with non cirrhotic portal fibrosis is:
1. Gastric varices
2. Esophageal varices
3. Ascites
4. Portal gastropathy

Correct answer: 2. Esophageal varices

Explanation: Important manifestations of non cirrhotic portal fibrosis Common: Esophageal varices (97%) Gastric varices (31%) Pancytopenia Increased INR Decreased fibrinogen Rare manifestations: Ascites (transient) 25% Portal gastropathy (3%) Ref: Medicine Update 2012 Vol. 22.